Which of the following statement is not true about tamoxifen?
1. It is used for visceral metastasis
2. Tamoxifen is useful in post-menopausal and aromatase inhibitors in premenopausal patients
3. Dose is 20 mg for 5 years
4. It can cause endometrial carcinoma

Correct answer: 2. Tamoxifen is useful in post-menopausal and aromatase inhibitors in premenopausal patients

Explanation: TAMOXIFEN AROMATASE INHIBITORS Pre-menopausal patients Post-menopausal patients Breast Ca Cells Potent antagonist Blood vessels Partial Agonist: Pit: Pituitary B: Bone U: Uterus - | risk of endometrial Ca L: Liver Dose: 10mg BD x 5 years / 20mg OD x 5yrs. - As, the menopause itself is a risk factor for endometrial cancer, tamoxifen therapy aggravates the risk. Hence tamoxifen is not prescribed for post- menopausal females. - Tamoxifen is also used for visceral and Bony metastases.